Which of the following contrast agents is preferred in a patient with decreased renal function to avoid contrast nephropathy -
1. Acetylcystine
2. Fenoldapam
3. Mannitol
4. Low osmolar contrast

Correct answer: 4. Low osmolar contrast

Explanation: Low osmolar contrast agents are agents of choice in patients with pre exiting renal insufficiency Low osmolar contrast agents are ionic dimers and non ionic monomers example for ionic dimer : ioxoglate example for non ionic monomer : iohexol